A 54-year-old man is admitted to the emergency department with severe chest pain. Electrocardiographic evaluation reveals a myocardial infarction. Due to the severity of the infarction, a coronary artery bypass surgery using a radial artery graft is proposed. Which of the following tests should be performed during physical examination prior to the bypass graft operation?
1. Allen test
2. Triceps reflex
3. Tinel test
4. Brachioradialis reflex

Correct answer: 1. Allen test

Explanation: The Allen test involves compression of the radial and ulnar arteries at the wrist with the fingers flexed tightly. Pressure is then released on either vessel successively to determine the degree of supply to the hand by either vessel and the patency of the anastomoses between them. The usefulness of the radial artery for bypass can thereby be assessed. The other tests have nothing to do with the patency of the radial artery.